If the circumflex artery gives off the posterior interventricular artery than the arterial supply is called -
1. Right dominance
2. Left dominance
3. Balanced dominance
4. Undertermined

Correct answer: 2. Left dominance

Explanation: When a posterior interventricular artery is a branch of the right coronary artery, then it is a right dominance, whereas, if it is given off by the left coronary artery or circumflex artery, then it is a left dominance.